An old lady had history of fall in bathroom once and could not move afterwards, she had led in externally rotated position, there was tenderness in scarpas triangle, no hip fracture was seen on x - ray, next step is
1. CT
2. MRI
3. USCT
4. PET scan

Correct answer: 2. MRI